Animal reservoir for swine influenza virus is:
1. Field mice
2. Urban rats
3. Pigs
4. Calomys callosus

Correct answer: 3. Pigs

Explanation: Ans. is 'c' i.e., PigPigs can be infected with both human and avian influenza viruses in addition to swine influenza viruses. Infected pigs exhibit signs of illness similar to humans, such as cough, fever and runny nose. Because pigs are susceptible to avian, human and swine influenza viruses, they potentially may be infected with influenza viruses from different species (e.g., ducks and humans) at the same time. If this happens, it is possible for the genes of these viruses to mix and create a new virus.